True about hallucinations?
1. False but firm belief in something that is not true
2. Disorder of thought
3. Requires stimulus for its occurrence
4. False perception in absence of stimulus

Correct answer: 4. False perception in absence of stimulus

Explanation: Ans. d (False perception in absence of stimulus). (Ref. Neeraj Ahuja 6th ed. 14)TermDefinitionHallucinationPerception that occurs in the absence of stimulus.IllusionMisinterpretation of stimuli arising from external objects.DelusionFasle but firm belief in something that is not true OR False unshakable belief, which is not amenable to reasoning and is not keeping with the patients socio-culture, and educational background.DeliriumIs an acute confusional state characterized by alteration in consciousness, orientation and perception.Hallucinations are of 3 types:# Audible thoughts (Voices speaking out thoughts aloud or thought echo)# Voices heard arguing (two or more hallucinatory voices discussing the subject in 3rd person).# Voices commenting on one's action.